The arachnoid villi responsible for cerebrospinal fluid absorption protrude mainly in the -
1. Superior sagittal sinus
2. Inferior sagittal sinus
3. Straight sinus
4. Transverse sinus

Correct answer: 1. Superior sagittal sinus

Explanation: The main site of absorption is through arachnoid villi and arachnoid granulations into subdural venous sinuses. These arachnoid villi and granulations are most numerous in superior sagital sinus and its lateral lacunae.